Hymen can be ruptured by :
1. Sola apith
2. Masturbation
3. Sanitary tampons
4. All

Correct answer: 4. All

Explanation: D i.e. All